A patient with Hodgkin's lymphoma is having a single cervical lymphnode. Biopsy showed lymphocyte predominant variant. Which of the following is the treatment of choice-
1. Chemotherapy with Radiotherapy
2. Chemotherapy only
3. Radiotherapy only
4. No treatment needed

Correct answer: 3. Radiotherapy only